Dislocation of lens is seen in all the following conditions except
1. Congenital rubella
2. Homocystinuria
3. Marfan syndrome
4. Weil -Marchesani syndrome

Correct answer: 1. Congenital rubella

Explanation: Congenital rubella is characterized by nuclear pearly cataract but there is no dislocation of the lens Refer: Khurana 6th edition page number236